The optimum floor space recommended for a adult person in a house is
1. 70 to 90 sq.ft
2. 101 to 150 sq.ft
3. 151 to 200 sq.ft
4. 201 to 250 sq.ft

Correct answer: 1. 70 to 90 sq.ft

Explanation: The accepted standards are:110sq ft or more : 2 persons90-100 sq ft : 1 1/2 person70- 90 sq ft : 1 person50-70 sq ft : 1/2 personUnder 50 sq ft : nilA baby under 12 months is not counted; children between 1 to 10 years counted as half a unit.Park 23e pg: 752